Malti, a 45 years female pt. with a family h/o breast carcinoma, showed diffuse microcalcification on mammography. Indraductal carcinoma in situ was seen on biopsy. Most appropriate management is -
1. Quadrantectomy
2. Radical mastectomy
3. Simple mastectomy
4. Chemotherapy

Correct answer: 3. Simple mastectomy